Incomplete casting can be due to:
1. Insufficient venting.
2. Inadequate or too small spreu.
3. Low casting pressure.
4. All of the above.

Correct answer: 4. All of the above.

Explanation: Reasons for incomplete castings:

Insufficient venting
Inadequate sprue (too small sprue)
Insufficient alloy used
Alloy not sufficiently molten or fluid
Mold is not heated to casting temperature
Premature solidification of alloy
Low casting pressure